Which of the following is not a component of APACHE score ?
1. Serum Potassium
2. Serum Sodium
3. Serum Calcium
4. Creatinine

Correct answer: 3. Serum Calcium

Explanation: .APACHE II (Acute Physiology and Chronic Health Evaluation II) point score is calculated from a patient's age and 12 routine physiological measurements: PaO2 Temperature Mean arterial pressure pH arterial Heart rate Respiratory rate Serum Sodium Serum Potassium Creatinine Hematocrit White blood cell count Glasgow Coma Scale S.Ca is part of Ransons criteria